Arrange the following tumours according to increasing age group A. Ewing's Sarcoma B. Osteosarcoma C. Osteoclastoma D. Chondrosarcoma
1. B,D,A,C
2. C,B,D,A
3. D,A,C,B
4. A,B,C,D

Correct answer: 4. A,B,C,D

Explanation: Tumours according to increasing age group A. Ewing's Sarcoma B. Osteosarcoma C. Osteoclastoma D. Chondrosarcoma